Till what age is a child called neonate
1. 2 weeks
2. 4 weeks
3. 3 months
4. 1 year

Correct answer: 2. 4 weeks